Tripod fracture is seen in?
1. Zygomatic bone
2. Temporo-mandibular joint
3. Maxilla
4. Frontal bone

Correct answer: 1. Zygomatic bone

Explanation: ANSWER: (A) Zygomatic boneREF: Essentials of skeletal radiology Lippincott Williams & Wilkins page. 708Fractures of Zygoma (Tripod Fracture):After nasal bones, zygoma is the secondmost frequently fractured bone. Usually, the cause is direct trauma. Fracture line passes through zygomaticofrontal suture, orbital floor, infraorbital margin and foramen, anterior wall of maxillary sinus and the zygomaticotemporal suture.Clinical Features:* Flattening of malar prominence.* Step-deformity of infraorbital margin.* Anesthesia in the distribution of infraorbital nerve.* Trismus, due to depression of zygoma on the underlying coronoid process.* Oblique palpebral fissure, due to the displacement of lateral palpebral ligament.Restricted ocular movements, due to entrapment of inferior rectus muscle. It may cause diplopia.Periorbital emphysema, due to escape of air from the maxillary sinus on nose-blowing.DiagnosisWaters' or exaggerated Waters' view shows the fracture and displacement the best.TreatmentOnly displaced fractures require treatment.Open reduction and internal wire fixation gives best results.